Post mortem staining before death can occur in
1. Cholera
2. Old age
3. Children
4. Hanging

Correct answer: 1. Cholera

Explanation: Postmortem hypostasis is seen before death in cases of cholera, uremia, plague, morphine, etc Ref: researchgate.net